Which of the following is increased in elderly patients compared with their younger counterparts
1. Vital capacity
2. Ventilatory response to hypoxia or hypercarbia
3. Air trapping
4. Resting arterial oxygen tension (PaO2 )

Correct answer: 3. Air trapping

Explanation: The propensity for air trapping is increased with age. In contrast, the vital capacity (A), arterial oxygen tension (C), and ventilatory response to hypoxia or hypocarbia are decreased with age.